Not a direct branch of aorta
1. Left common carotid artery
2. Left subclavian artery
3. Brachiocephalic trunk
4. Right common carotid artery

Correct answer: 4. Right common carotid artery

Explanation: ARCH OF AOA BRANCHES Arch of aorta is the continuation of the ascending aorta.It is situated in the superior mediastinum behind the lower half of the manubrium sterni. BRANCHES 1.Brachiocephalic artery which divides into the right common carotid and right subclavian arteries. 2.Left common carotid artery 3.Left suclan artery REF.BDC VOL.1,FIFTH EDITION